Treponema pallidum was discovered by:
1. Hillary and Mehoni
2. Hoffman and Shauddin
3. Warren and Marshall
4. Yersin and Kitasato

Correct answer: 2. Hoffman and Shauddin

Explanation: Ans: b (Hoffman and shauddin) Ref: Ananthanarayan, 7th ed, p. 377Treponema pallidum was discovered by Hoffman and ShauddinWarren and Marshall discovered Helicobacter pylori (PGI Dec 2007)Yersin and Kitasato discovered plague bacilli